Anticoagulant effect of warfarin bus increased by all and the following
1. Cimetidine
2. Phytonadione
3. Amiodarine
4. Phenyl butazone

Correct answer: 2. Phytonadione

Explanation: Refer KDT 6/e p 602 Vitamin K1 (phytonadione) is the antidote of warfarin It decreases the effect of oral anticoagulants